Organophosphates bind to:
1. Anionic site of AChEs
2. Esteratic site of AChEs
3. ACh
4. None

Correct answer: 2. Esteratic site of AChEs

Explanation: The active region of Acetylcholinesterase (AChE) has two sites i.e. an anionic site and an esteratic site. Anticholinesterase poisoning like Organophosphate compounds binds to the esteratic site of AChE.